Diagnosis of Gout is confirmed by which test?
1. Serum Uric acid level
2. Synovial fluid analysis
3. Urine uric acid levels
4. X- ray changes

Correct answer: 2. Synovial fluid analysis

Explanation: Gout: Characteristic GOUT PSEUDOGOUT Joint Great Toe Knee Crystal Deposited Uric-Acid-negatively birefringent-Needle shaped Calcium pyrophosphate-positively birefringent Rhomboid shaped Association Protein + Alcohol intake Hypothyroidism X-ray Bone and soft tissue erosions Chondrocalcinosis(calcification of the cartilage)